In otosclerosis the tympanogram is:
1. Low compliance
2. High compliance
3. Normal compliance
4. None of the above

Correct answer: 1. Low compliance

Explanation: (a) Low compliance(Ref. Scott Brown, 8th ed., Vol 21071)The As type of curve in otosclerosis is low compliance and normal pressure type.High compliance, normal pressure type of curve is Ad, seen in ossicular discontinuity.Normal compliance, normal pressure is A type, i.e. normal curve.